TRALI occurs within -
1. Within 6 hour
2. 6-8 hour
3. 8-10 hour
4. > 10 hour

Correct answer: 1. Within 6 hour

Explanation: Ans. is 'a' i.e., Within 6 hour o Transfusion-Related Acute Lung Injury (TRALI) is a syndrome characterized by acute respiratory distress following transfusion,Symptoms of TRALI typically develop during, or within 6 hours of a transfusion.Patients present with the rapid onset of dyspnea and tachypnea.There may be associated fever, cyanosis, and hypotension. Clinical exam reveals respiratory distress and pulmonary crackles may be present with no signs of congestive heart failure or volume overload. CXR shows evidence of bilateral pulmonary edema unassociated with heart failure (non-cardiogenic pulmonary edema), with bilateral patchy infiltrates, which may rapidly progress to complete "white out" indistinguishable from Acute Respiratory Distress Syndrome (ARDS).